Focal length of high power objective lens of microscope?
1. 40mm
2. 16mm
3. 20mm
4. 4mm

Correct answer: 4. 4mm

Explanation: Ans. is 'd' i.e., 4 mmProperties of Microscopic Objective LensPropertyScanningLow PowerHigh PowerOil ImmersionMagnification4x10x40-45x 90-100xNumerical Aperature0-100.250.55-0.651.25-1.4Approximate focal length40 mm16mm4 mm 1.8-2.0 mmWorking distance17-20 mm4-8 mm0.5-0.7 mm0.1 mmApproximate resolving power with light of 450 nm(blue light)2.3 mm0.9 mm0.35 mm0.18 mm